Which of the following nerve fibers are first to get blocked by local anaesthetic
1. A alpha
2. A beta
3. A delta
4. A gamma

Correct answer: 3. A delta

Explanation: Sequence of block is
Beta > A delta = C > A gamma > A beta >A alpha